All of the following are seen in rickets, except.
1. Bow legs
2. Gunstock deformity
3. Pot belly
4. Cranio tabes

Correct answer: 2. Gunstock deformity

Explanation: Ans. is 'b' i.e. Gunstock deformity In rickets the abdomen is protuberant (pot belly) because of marked hypotonia of abdominal wall muscles. Visceral proptosis and lumbar lordosis also occurs in rickets.* More Questions on rickets: -Earliest manifestation of Rickets - Craniotabes*Clinical manifestation of Rickets appeal's at - later half of first year or in 2nd year. (Unusual below the age of 3 months)*Questions on Radiological feature of Rickets: -Earliest radiological changes appear in long bones of radius and ulna*Cupping of metaphyses*Large gap b/w epiphyses and metaphyses (widening of the physis i.e. growth plate)*Irregular metaphyseal margins (ill-defined zone of provisional calcification)Osteopenia*